Consecutive optic atrophy is seen in -
1. Papilloedema
2. Papilltis
3. Retinal detachment
4. Retinitis-pigmentosa

Correct answer: 4. Retinitis-pigmentosa

Explanation: Common causes are : diffuse chorioretinitis, rp, pathological myopia, CRAO. Ref :AK Khurana 6thE pg 327